Diagnostic power of the test is reflected by:
1. Sensitivity
2. Specificity
3. Predictive value
4. Population attributable risk

Correct answer: 3. Predictive value

Explanation: Diagnostic power of a screening test: Predictive accuracy (it tells the actual no. of people having the disease or not having the disease out of those shown positive or negative by a screening test) Diagnostic power of a screening test to correctly identify disease: positive predictive value (PPV) Diagnostic power of a screening test to correctly exclude a disease: negative predictive value (NPV)